Nerve injured in fibular neck fracture-
1. Common peroneal
2. Tibial
3. Sural
4. Femoral

Correct answer: 1. Common peroneal